Which is the most reliable diagnostic method for staging the oesphageal cancer?
1. MRI
2. Endoscopic ultrasound
3. CT scan
4. Thoracoscopy

Correct answer: 2. Endoscopic ultrasound

Explanation: Ans. is 'b' i.e., Endoscopic ultrasound